A patient has multiple necrotic ulcers over glans penis with tender inguinal lymphadenopathy. The likely diagnosis is -
1. Haemophilous ducreyi
2. Chlamydia trachomatis
3. Herpes simplex
4. Candida albicans

Correct answer: 1. Haemophilous ducreyi